Following are feature of catatonic schizophrenia, except:
1. Mutism
2. Echolalia
3. Waxy flexibility
4. Deep tendon reflexes are increased

Correct answer: 4. Deep tendon reflexes are increased

Explanation: D. i.e. Deep tendon reflexes are increased